All of the following are recognized effects of combined oral contraceptives except
1. Breakthrough bleeding
2. Decreased risk of endometrial cancer
3. Increased risk of ischemic stroke
4. Increased risk of colon cancer

Correct answer: 4. Increased risk of colon cancer

Explanation: Adverse effects of OCP- breakthrough bleeding, coronary and cerebral thrombosis resulting in MI or stroke, increased incidence of genital carcinoma-like vaginal, cervical, breast cancers. It has a protective effect against endometrial carcinoma due to progesterone (Ref.Essentials of medical pharmacology TD Tripathi 7th edition page no.325,326)